Most abundant protein in humans is
1. Collagen
2. Albumin
3. Globin
4. hemoglobin

Correct answer: 1. Collagen